A 26-year-old woman presents with fever, malaise, signs of jaundice, clay-colored stool, and dark urine. A liver biopsy reveals liver cell drop-out along with focal inflammation and ballooning degeneration of hepatocytes. A few intensely eosinophilic oval bodies are found. What are these microscopic bodies called
1. Mallory bodies
2. Cowdry A bodies
3. Councilman bodies
4. Russell bodies

Correct answer: 3. Councilman bodies

Explanation: Councilman bodies are intensely eosinophilic bodies that may be seen in liver biopsy specimens from individuals with viral hepatitis. These Councilman bodies are in fact necrotic hepatocytes that have undergone T-cell induced apoptosis. These apoptotic cells are cleared rapidly, and there may not be as many present in a liver biopsy specimen as were originally present.